A 38yr old man met with a motor vehicular accident, following which he was unable to abduct his right shoulder and flex at elbow. What is the most likely cause?
1. Shoulder dislocation
2. Medial cord injury
3. Lateral cord injury
4. Upper trunk injury

Correct answer: 4. Upper trunk injury

Explanation: D i.e. Upper trunk injury